Term psychoanalysis was coined by?
1. Eysenck
2. Freud
3. Jung
4. Adler

Correct answer: 2. Freud

Explanation: Ans. is 'b' i.e., Freud * The credit for invention of psychoanalysis belong to Sigmund FreudImportant contributors in psychiatryTermCoined by* Demence precoce* Moral Emil* Dementia precox* Kraepelin* Catatonia, cyclotymia* Kahlbaum* Hebephrenia* Hecker* Schizophrenia* Eugen Bleuler* Ambivalence* Eugen Bleuler* Free association* Sigmund Freud* Psychoanalysis, Psychodynamics* Sigmunnd Freud* Id, ego, Superego* Sigmund Freud* Psychiatry* Johann christion Reil